Which one of the following does NOT present antigens?
1. NK cells (Natural killer cells)
2. Dendritic cells
3. Langerhan's cells
4. Macrophages

Correct answer: 1. NK cells (Natural killer cells)